Dix Hallpike monouvre is used to assess
1. Differentiate peripheral and central lesions of vestibular system
2. Differentiate cochlear and retrocochlear deafness
3. Assess neonatal hearing loss
4. Assess patency of Eustachian tube

Correct answer: 1. Differentiate peripheral and central lesions of vestibular system

Explanation: Ans. is 'a' i.e., Differentiate peripheral and central lesions of vestibular system Hallpike test / Positional testo It is a test for assessing vestibular function. It is particularly useful when patients complain of vertigo in certain head positions. It helps to differentiate peripheral and central lesions.Methodo Patient sits on a couch. Examiner holds the patients head, turns it 45deg to the right and then places the patient in supine position so that his head hangs 30deg below the horizontal. Patients eyes are observed for nystagmus. The test is repeated with head turned to left. Four parameters of nystagmus are observed latency, duration, direction, fatigability. Peripheral causes of BPPV can be differentiated from central causes (like tumors of fourth ventricle, cerebellum, temporal lobe, Multiple sclerosis, ICT) by observing the characteristics of nystagmus. PeripheralCentralLATENCY2-20 secondsNo latencyDURATIONLess than 1 minuteMore than 1 minuteDIRECTION OF NYSTAGMUSDirection fixed, towards the undermost earDirection changingFATIGABILITYFatigableNon fatigableACCOMPANYING SYMPTOMSSevere vertigoNone/minimum